True about heat hematoma:
1. Inside the brain
2. Between skull and dura mater
3. Between skull and pericranium
4. Between scalp and pericranium

Correct answer: 2. Between skull and dura mater

Explanation: Ans. Between skull and dura mater